Weight for age may help in assessing both acute & chronic malnutrition which of the following parameter may be helpful in assessing chronic malnutrition?
1. Weight / height
2. Height for age
3. Mid arm circumference
4. Chest Circumference

Correct answer: 2. Height for age

Explanation: Ans. B. Height for ageUndernutrition is a condition in which there is inadequate consumption, poor absorption or excessive loss of nutrients.Indicators of undernutrition are(i) Stunting : Low height for age : Indicator of chronic malnutrition, the result of prolonged food deprivation/ or disease or illness(ii) Wasting: Low weight for height: Suggests acute malnutrition, the result of more recent food deficit or illness(iii) Underweight: Low weight for age : Combined indicator to reflect both acute and chronic malnutrition